Which among the following type of Hodgkin's Lymphoma has better prognosis
1. Nodular sclerosis
2. Lymphocytic predominance
3. Mixed cellularity
4. Lymphocytic depletion

Correct answer: 2. Lymphocytic predominance

Explanation: Lymphocytic predominant Hodgkin's Lymphoma has better prognosis.